Cervical Synringomyelia All are seen except
1. Burning sensation in hands
2. hypertrophy of abductor pollicis brevis
3. Extensor plantar response is present
4. Absent biceps refex

Correct answer: 2. hypertrophy of abductor pollicis brevis

Explanation: Syringomyelia (sih-ring-go-my-E-lee-uh) is the development of a fluid-filled cyst (syrinx) within your spinal cord. Over time, the cyst may enlarge, damaging your spinal cord and causing pain, weakness and stiffness, among other symptoms. Refer Robbins page no Pg 9/e 1258